Devic's disease is associated with
1. Aquaporin 0
2. Aquaporin 1
3. Aquaporin 2
4. Aquaporin 4

Correct answer: 4. Aquaporin 4

Explanation: (D) Aquaporin 4 # NEUROMYELITIS OPTICA (NMO) or Devic's disease or Devic's syndrome, is a heterogeneous condition consisting of recurrent and simultaneous inflammation and demyelination of the optic nerve (optic neuritis) and the spinal cord (myelitis).> Currently at least two different causes are proposed based on the presence of autoantibodies against AQP4.> Autoimmune reactions against aquaporin 4 produce Devic's disease Mutations in the aquaporin-2 gene cause hereditary nephrogenic diabetes insipidus in humans. Mice homozygous for inactivating mutations in the aquaporin-0 gene develop congenital cataracts.> A small number of people have been identified with severe or total deficiency in aquaporin-1. Interestingly, they are generally healthy, but exhibit a defect in the ability to concentrate solutes in the urine and to conserve water when deprived of drinking water.